Scarring alopecia is associated with
1. Alopecia areata
2. Tinea capitis
3. Androgenic alopecia
4. Lichen planus

Correct answer: 4. Lichen planus

Explanation: Scarring alopecia is caused by Lichen planus and Kerion commonly .other rare causes are DLE , trauma, burn and congenital tumours